Which of the following is a part of lochia:
1. Red blood cells
2. Decidual membranes
3. Cervical mucus
4. All of the above

Correct answer: 4. All of the above

Explanation: Ans. D: All of the above Lochia is post-partum vaginal discharge, containing blood, mucus, and placental tissue. Lochia discharge typically continues for 4 to 6 weeks after childbirth. It progresses through three stages. Lochia rubra (or cruenta) is the first discharge, red in color because of the large amount of blood it contains. It typically lasts no longer than 3 to 5 days after birth. Lochia serosa is the term for lochia which has thinned and turned brownish or pink in color. It contains serous exudate, RBC, WBC, and cervical mucus. This stage continues until around the tenth day after delivery. Lochia alba (or purulenta) is the name for lochia once it has turned whitish or yellowish-white. It typically lasts from the second through the third to sixth week after delivery. It contains fewer RBC's and is mainly made up of WBC's, epithelial cells, cholesterol, fat, and mucus.